Amyloidosis is found in the following except ?
1. Multiple myeloma
2. Hypernephroma
3. Thymoma
4. Lymphoma

Correct answer: 3. Thymoma

Explanation: Ans. is 'c' i.e., Thymoma Primary amyloid (AL) may occur in multiple myeloma (see above explanation). Secondory amyloidosis o It occurs secondary to an associated inflammatory conditions like - Rheumatoid arthritis (most common) Ankylosing spondylitis IBD (crohn disease, ulcerative colitis) o It may also occur in some tumors ? TB & Leprosy Chronic osteomyelitis Bronchiectasis 1. Renal cell carcinoma (Hypernephroma) 2. Hodgkin lymphoma